Glomus tumor is seen in:
1. Liver
2. Adrenals
3. Pituitary
4. Finger

Correct answer: 4. Finger

Explanation: Glomus tumor is seen in Finger (in fingertip or in subungual area). These arise from subcutaneous arteriovenous shunts (Sucquet - Hoyer canals) especially in the corium of the nail bed.GLOMUS TUMOR Typically, they are small, purple nodules measuring a few millimeters in size, which are disproportionately painful in response to insignificant stimuli (including cold exposure). Subungual varieties may be invisible causing paroxysmal digital pain.